Meckel's diverticulum is a derivative of
1. Allantoic diverticulum
2. Omphalo-mesenteric duct
3. Ventral mesogastrium
4. Ductus arteriosus

Correct answer: 2. Omphalo-mesenteric duct

Explanation: Meckel's diverticulum: Midgut diverticulum attaching to developing gut tube is called vitelline duct / vitello-intestinal duct. It is also known as omphalomesenteric tube (antimesenteric towards ant abdominal wall) Normally, it is content of umbilical cord & it is obliterated If it is not obliterated, it results is an anomaly called Meckel's diverticulum There is an hindgut diverticulum called allantois which is also a content of umbilical cord. If allantois is not obliterated, it results in urachal fistula (where urine comes out of umbilicus) If fecal matter / meconium is at umbilicus of baby then it is Meckel's anomaly.